Caspases are involved in:
1. Cell division
2. Necrosis
3. Apoptosis
4. Inflammation

Correct answer: 3. Apoptosis

Explanation: Caspases are molecules that lead to DNA cleavage and cell death when activated by TNFs (known as death receptors) and cause programmed cell death (apoptosis). Ref: Harrison's Principles of Internal Medicine, 16th Edition, Page 1925.